Greater bone density is found in:
1. Anterior mandible
2. Posterior mandible
3. Anterior maxilla
4. Posterior maxilla

Correct answer: 1. Anterior mandible

Explanation: In the anterior mandible, the trabeculae are thicker than in the maxilla, resulting in a coarser pattern with trabecular plates that are oriented more horizontally. The trabecular plates are also fewer than in the maxilla, and the marrow spaces are correspondingly larger. In the posterior mandible, the periradicular trabeculae and marrow spaces may be comparable to those in the anterior mandible but are usually larger.
White and Pharoah, pg-135